Dye used in SPECT -
1. 0-14
2. Tc - 99
3. Nitrogen - 16
4. Iodine 124

Correct answer: 2. Tc - 99

Explanation: Ans. is 'b' i.e., Tc - 99 o The radioisotopes typically used in SPECT to label tracers are Iodine - 123, technetium - 99m, xenon -133, thallium - 201, and fluorine - 18.